Best available option to prevent MRSA infection in a hospital -
1. Prophylactic antibiotics
2. Fumigation of wards
3. Proper hand washing
4. Use of disinfectants

Correct answer: 3. Proper hand washing

Explanation: Ans. is 'c'i.e., Proper hand washing "Given the prominence of cross infection, hand hygiene is the single most important preventive measure in hospitals. "